Absence of fructose in semen indicates -
1. Obstruction to seminal vesicles
2. Obstruction at prostatic urethra
3. Vas deferens obstruction
4. Testicular failure

Correct answer: 1. Obstruction to seminal vesicles

Explanation: An absence of fructose in the semen would indicate → seminal vesicle agenesis or obstruction of its duct or the ejaculatory duct.